Ectopia lentis is seen In all except -
1. Marfan syndrome
2. EDS
3. Trauma
4. Osteogenesis imperfecta

Correct answer: 4. Osteogenesis imperfecta

Explanation: Ans. is 'd' i.e., Osteogenesis imperfecta o Ectopia lentis is seen in i) Homocystinuria ii) Marfan syndrome iii) Weil - Marchesani syndrome iv) Ehler Danlos syndrome v) Hyperlysmerma vi) Sulfite oxidase deficiency vii) Stickler syndrome viii) Trauma ix) Consecutive/spontaneous (Hypermature cataract, buphthalmos, high myopia)